Drug used for drug induced parkinsonism
1. Levodopa
2. Carbidopa
3. Benzhexol
4. Amantidine

Correct answer: 3. Benzhexol

Explanation: Sodium valproate, used to treat epilepsy, and lithium, used in depression, both commonly cause tremor which may be mistaken for Parkinson's. Some reports have linked SSRI antidepressant drugs such as fluoxetine (Prozac) to drug-induced parkinsonism but hard evidence of causeand effect is unsubstantiated. Ref: KD T ripathi 8th ed.